True about tetanus is all except ?
1. Tetanus protection 5 years if previously immunized
2. Herd immunity present
3. Can't be eradicated
4. Elimination is less than 1 case per 1000 births

Correct answer: 2. Herd immunity present

Explanation: Ans. is 'b' i.e., Herd immunity present o There is no herd immunity in tetanus. o All other options are correct.